What is the length of an eye ball at birth
1. 24 mm
2. 22 mm
3. 17.5 mm
4. 10.5 mm

Correct answer: 3. 17.5 mm

Explanation: Length of an eye ball at birth is between 16.5 - 17.5mm, whereas in an adult the length is between 23-23 mm.